Working formulation in staging of non-hodgkins lymphoma is based on:
1. Morphology of cells
2. Cell surface markers
3. Survival characteristic of cells
4. Cellular genetics

Correct answer: 1. Morphology of cells

Explanation: Ans. A: Morphology of cells The 1982 Working formulation is a classification of non-hodgkin lymphoma. It excluded the Hodgkin lymphomas and divided the remaining lymphomas into four grades (Low, Intermediate, High, and Miscellaneous) related to prognosis, with some further subdivisions based on the size and shape of affected cells. This purely histological classification included no information about cell surface markers, or genetics, and it made no distinction between T-cell lymphomas or B-cell lymphomas. The working formulation was widely accepted at the time of its publication but is now obsolete. It was superseded by subsequent classifications but it is still used by cancer agencies for compilation of lymphoma statistics and historical comparisons.